Most common oncogene involved in pancreatic adenoma
1. P53
2. K-RAS
3. APC
4. DCC

Correct answer: 2. K-RAS

Explanation: 85% of Carcinoma pancreas shows mutant K ras gene on codon 12. 60% show mutation of p53 gene in chromosome 17, over expression of EGFR. Reference : SRB's Manual of Surgery, 6th Edition, page no = 695.